Barrett's esophagus shoes:
1. Intestinal dysplasia
2. Intestinal metaplasia
3. Squamous cell metaplasia
4. Columnar cell metaplasia

Correct answer: 2. Intestinal metaplasia

Explanation: . Intestinal metaplasia